The principal site of acidification of urine is
1. Loop of henle
2. Collecting duct
3. DCT
4. PCT

Correct answer: 2. Collecting duct

Explanation: The cells of the proximal and distal tubules secrete hydrogen ions. Acidification also occurs in the collecting ducts. The reaction that is primarily responsible for H+ secretion in the proximal tubules is Na+-H+ exchange. Na is absorbed from the lumen of the tubule and H is excreted. Ref: guyton and hall textbook of medical physiology 12 edition page number:504,505,506